Greater vein of galen is formed by -
1. Superior sagittal sinus with straight sinus
2. Inferior sagittal sinus with straight sinus
3. Internal cerebral veins
4. Basilar vein

Correct answer: 3. Internal cerebral veins

Explanation: Great cerebral vein of Galen is formed by the union of two internal cerebral veins.